Dose of Human Rabies Immunoglobulin is:
1. 10 IU/kg
2. 20 IU/kg
3. 30 IU/kg
4. 40 IU/kg

Correct answer: 2. 20 IU/kg

Explanation: b. 20IU/kg(Ref: Nelson's 20/e p 3450, 1642-1644, Ghai 8/e p 202-203)Human rabies immunoglobulin (HRIG--dose is 20U/kg body weight, maximum dose 1500IU); andEquine rabies immunoglobulin (ERIG--dose is 40U/kg, maximum dose 3000IU)